Predisposing factor for arterial thrombosis -
1. AT III deficiency
2. Proteins S deficiency
3. Protein C deficiency
4. Homocysteinemia

Correct answer: 4. Homocysteinemia